Laboratory findings in fat embolism consist of the following except ?
1. Thrombocytoenia
2. Fat globules in urine
3. Hypercalcemia
4. Anemia

Correct answer: 3. Hypercalcemia

Explanation: Ans. is 'c' i.e., Hypercalcemia Fat embolism Fat embolism means circulation of fat globule away from its site of origin. When fat embolism causes symptoms it is called fat embolism syndrome.